Intrinsic factor is secreted by
1. G-cells
2. Pepsinogen secreting cells
3. Parietal or oxyntic cells
4. Pyloric glands

Correct answer: 3. Parietal or oxyntic cells

Explanation: The substance intrinsic factor, essential for absorption of vitamin B12 in the ileum, is secreted by the parietal cells along with the secretion of hydrochloric acid. -G cells of antrum of stomach secrete hormone gastrin whose primary actions include stimulation of gastric acid secretion & stimulation of growth of gastric mucosa. -Pepsinogen secreting cells(peptic cells of oxyntic glands) secrete pepsinogen(proenzyme) which is converted to pepsin (active form) by action of HCl.Pepsin is a proteolytic enzyme that regulates protein digestion. -The pyloric glands secrete mainly mucus for protection of the pyloric mucosa from the stomach acid. They also secrete the hormone gastrin. Reference: Guyton,11e